The ideal time of repair of cleft lip is:
1. At birth
2. Between 3-6 months of age
3. At 1-1 ½ years of age
4. At 1½ to 2 years of age

Correct answer: 2. Between 3-6 months of age